What is the earliest ocular manifestation of pregnancy induced hypertension?
1. Soft Exudates
2. Flame shaped hemorrhages
3. Constriction of nasal blood vessels
4. Papilledema

Correct answer: 3. Constriction of nasal blood vessels

Explanation: Fundus changes in Pregnancy Induced Hypertension (Clinical Manifestations in PIH) The clinical course of fundus changes in PIH may be divided into three stages: (i) Spastic stage: Characterised by spasm of retinal arterioles. (ii) The stage of sclerosis: When pregnancy induced hypertensive changes are superimposed on pre-existing organic sclerotic changes in the vessels. (iii) The stage of retinopathy: Characterised by cotton wool spots, micro aneurysms, flame shaped and splinter haemorrhages, hard exudates, disc edema etc. The first change observed in normal retinal arterioles is constriction of the lumen of superior nasal arterioles.